DOC for migraine prophylaxis -
1. Propranolol
2. Valproate
3. Topiramate
4. Ethosuxamide

Correct answer: 1. Propranolol

Explanation: Ans. is 'a' i.e., Propranolol Treatment and prophylaxis of migraineo For aborting an acute attack of migraine, sumatriptan (or any other triptan) is the drug of choice. Other drugs used for treatment are NSAIDs, ergotamine and dihydroergotamine, and intranasal butorphanol.o For Prophylaxis, Beta-blocker (propranolol) is the drug of choice. Other drugs used for prophylaxis are tricyclic antidepressants (amitriptyline), calcium channel blockers (cinnarizine, verapamil), serotonine antagonists (methysergide, cyproheptadine), MAO inhibitors and anticonvulsants (valproate, topiramate, gabapentine), fluxetin, onabotulinum toxine A, pepaverine andphenalzine.